The most common variant in the blood supply of colon is:
1. Absent right colic artery
2. Absent middle colic artery
3. Absent left colic artery
4. Absent superior rectal artery

Correct answer: 1. Absent right colic artery

Explanation: Ans. a. Absent right colic arteryThe most common variant in the blood supply of colon is absent right colic artery.Variation in the Blood Supply of ColonRight colic artery is a small vessel that is highly variable in its anatomy and may be absentdeg.Right colic artery most commonly arises as a common trunk with the middle colic artery. Alternatively it may arise as a separate branch from the right side of the superior mesenteric artery, or from the ileocolic artery (when it is referred to as an accessory right colic artery), and occasionally it may be absent.Right colic artery is highly variable in its anatomy